A woman in her first pregnancy reports that she smokes one pack of cigarettes a day. An ultrasound is ordered in the thirty second week of the pregnancy to evaluate for which of the following:
1. Amniotic fluid volume
2. Fetal size
3. Fetal abnormalities
4. Fetal motion

Correct answer: 2. Fetal size

Explanation: Fetal size